. The highest malignant potential is seen in -
1. Crohn's disease
2. Ulcerative colitis
3. Familial polyposis
4. Infantile polyp

Correct answer: 3. Familial polyposis

Explanation: The malignant potential of familial polyposis coli is very high. Colorectal cancer develops virtually in 100% of cases by age of 50 years if not treated with colectomy. TEXTBOOK OF PATHOLOGY 6TH EDITION HARSH MOHAN PAGE NO:585